Nesidioblastoma is due to hyperplasia of-
1. Alpha cell
2. Beta cell
3. Acinus
4. D cells

Correct answer: 2. Beta cell

Explanation: Ans. (b) Beta cell(Ref: Robbins 9th/pg 1121; 8th/pg 1146)*Nesidioblastosis is Focal or diffuse hyperplasia of the b-cells Q in pancreatic islets*Nesidioblastosiscan also be seen in:#Infant of diabetic mother Q#Beckwith-Wiedemann syndrome Q#Rare mutations in the b-cell K+ channel protein or sulfonylurea receptor